All secondaries cause osteolytic lesions except
1. Prostate
2. Breast
3. Thyroid
4. Bronchus

Correct answer: 1. Prostate

Explanation: (A) Prostate OSTEBLASTIC SECONDARIESMalesFemales* Prostate (Most common)* Breast (Most common)* Seminoma* Uterus, Ovary* Neurogenic tumors* Neurogenic tumors* Carcinoid* Carcinoid* Osteosarcoma* Osteosarcoma